In methyl alcohol poisoning there is CNS depression, cardiac depression and optic nerve atrophy. These effects are produced due to-
1. Formaldehyde and formic acid
2. Acetaldehyde
3. Pyridine
4. Acetic acid

Correct answer: 1. Formaldehyde and formic acid

Explanation: Formic acid is the primary agent responsible for the toxic effects and occular complications. Formaldehyde and formic acid is the single best answer here.
Methanol is oxidized by the liver to formaldehyde (which is 33 times more toxic than methanol) which in turn is oxidized to formic acid which is sixty times more toxic than methanol and is responsible for the associated metabolic acidosis and retinal toxicity.